Nerve supply to platysma is?
1. Ansa cervicalis
2. Facial
3. Hypoglossal
4. Mandibular

Correct answer: 2. Facial

Explanation: The platysma muscle is the most superficial muscle of the neck. Unlike most skeletal muscles, the platysma is located in the superficial fascia . The muscle extends superiorly from the inferior border of the mandible and inferiorly to the clavicle to the fascia of the anterior shoulder and thorax. The platysma muscle is a muscle of facial expression and therefore is innervated by the facial nerve (cervical branch of CN VII).